The weight of placenta at term is
1. 250 gm
2. 500 gm
3. 7500 gm
4. 1000 gm

Correct answer: 2. 500 gm

Explanation: (500 gm): Ref: 29-D, 23-H & BPlacenta at term. The mature placenta is a Fleshy, discoid organ weighing about 500 gm usually weighing about 1/6 of the fetal weight. It is about 20 - 25 cm in diameter and 2.5 cm thickness at term, about four-fifths ofplacenta is of fetal origin.